Multiple submucosal neuromas is most likely associated with -
1. Multiple endocrine neoplasia type 2B
2. Ovarian carcinoma
3. Testicular teratoma
4. Pancreatic beta cell carcinoma

Correct answer: 1. Multiple endocrine neoplasia type 2B

Explanation: Mucosal neuromas are made up of nerve cells, often with thickened perineurium, intertwined with one another in a plexiform pattern. Multiple endocrine neoplasia type 2B is a genetic disease that causes multiple tumors on the mouth, eyes, and endocrine glands. It is the most severe type of multiple endocrine neoplasia,differentiated by the presence of benign oral and submucosal tumors in addition to endocrine malignancies. Ref Harrison 20th edition pg 530